Not a risk for development of DM
1. Obesity
2. Sedentary life style
3. High intake of vitamin A
4. Excess fat intake

Correct answer: 3. High intake of vitamin A